Scalp and face are involved in
1. Adult scabies
2. Nodular scabies
3. Infantile scabies
4. None

Correct answer: 3. Infantile scabies

Explanation: Areas spared in scabies - scalp & face high density of hair follicles Infants- face ,scalp, palms and soles typically involved vesicles bullae, secondary bacterial infection is more common in infantile scabies iadvl textbook of dermatology page 429